Most common inherited cause of Aplastic anemia
1. Idiopathic
2. Fanconi anemia
3. Scwachman - diamond syndrome
4. Down syndrome

Correct answer: 2. Fanconi anemia

Explanation: M/C acquired cause - Idiopataic.
M/C inherited - Fanconi anemia.